Danazol is used for the following except :
1. Endometriosis
2. Fibroadenosis of breast
3. Delayed puberty
4. Gynaecomastia

Correct answer: 3. Delayed puberty

Explanation: Delayed puberty